All are true about diaphyseal Aclasia except
1. Is multiple hereditary exostosis
2. Autosomal recessive
3. Madelung deformity
4. Arise from metaphysis

Correct answer: 2. Autosomal recessive